Predominant blood supply to the supraduodenal bile duct is from vessels:
1. Which run upward from the major vessels located near the lower part of bile duct such as the gastroduodenal and retro duodenal artery
2. Which run downward along the bile duct from right hepatic artery
3. That arise from hepatic artery proper as it carries up along the common bile duct and supplies it with twigs in a non-axial distribution
4. That run from cystic artery

Correct answer: 1. Which run upward from the major vessels located near the lower part of bile duct such as the gastroduodenal and retro duodenal artery

Explanation: Approximately 60% of the blood supply to the supraduodenal bile duct originates from the pancreaticoduodenal and retroduodenal arteries, whereas 38% of the blood supply originates from the right hepatic artery and cystic duct artery and 2 percent is non-axial.Ref: Gray's Anatomy (40th Edition), Pages 1177, 1185; Essentials of Human Anatomy A.K.Datta 8th Edition, Page 259